New odontoblasts are differentiated from mesenchymal cells in:
1. 1 week
2. 2 week
3. 4-6 weeks
4. 1 month

Correct answer: 2. 2 week

Explanation: In about 15 days new odontoblasts are differentiated from mesenchymal cells of the pulp and these odontoblasts lay down the reparative dentin.